Mitochondrial inheritance
1. Father - son
2. Father - both
3. Mother - daughter
4. Mother - both

Correct answer: 4. Mother - both

Explanation: Ans. is 'd' i.e., Mother - both Mitochondrial diseaseso DNA in human may be found at two locationsNuclear DNA : In the nucleus.Organelle DNA : In the mitochondria.o Mitocondrial DNA is the only non-chromosomal DNA in human cells,o Mitochondrial DNA, is always maternally inherited.y Mitochondrial and nuclear DNA are located in different places in the cell. During fertilization, the sperm and egg cell nuclei fuse to form an embryo. The egg cell is very large compared to the sperm, so although the cells nuclei fuse, the rest of the cell mass in the embry>o comes from the egg only. Nuclear DNA is therefore co-inherited but the mitochondrial DNA, which is located outside of the nucleus, is always maternally inherited because all mitochondria in a foetus and later adult are derived from the mitochondria in the mothers egg.o So, in diseases showing mitochondrial inheritance all children from affected mother will inherit the disease but it will not be transmitted from an affected father to his children.